Definitive information regarding the bone architecture is obtained by
1. Periodontal probing
2. Radiographic examination
3. Combination of probing & radiographs
4. Surgical exposure of the osseous defect

Correct answer: 4. Surgical exposure of the osseous defect